In a town of 20,000 population, total 456 births were there in a year out of which 56 were dead born. The total deaths were 247 out of which 56 deaths were within the first 28 days of life and another 34 had died after 28 days and before completing the first birthday. Calculate the Infant mortality rate of this area.
1. 197
2. 225
3. 392
4. 344

Correct answer: 2. 225

Explanation: IMR= No. of deaths of children less than 1 year of age in a year x 1000 --------------------------------------------------------------------------------------- Number of live births in the same year = 56+34/ 456-56 x 1000 = 90/400 x 1000 =225